Function of Topoisomerases
1. Deoxynucleotide polymerization
2. Relieve torsional strain
3. Initiates synthesis of RNA primers
4. Prevent premature reannealing of dsDNA

Correct answer: 2. Relieve torsional strain

Explanation: Classes of Proteins Involved in ReplicationProteinFunctionDNA polymerasesDeoxynucleotide polymerizationHelicasesATP -driven processive unwinding of DNATopoisomerasesRelieve torsional strain that results fromhelicase-induced unwindingDNA primaseInitiates synthesis of RNA primersSingle-strand bindingproteins (SSBs)Prevent premature reannealing of dsDNADNA ligaseSeals the single strand nick between thenascent chain and Okazaki fragments on the lagging strandRef: Harper's Biochemistry; 30th edition; Chapter 35; DNA Organization, Replication, & Repair